Force of constriction required for the obstruction of Jugular vein is
1. 5 kg
2. 2 kg
3. 15 kg
4. 20 kg

Correct answer: 2. 2 kg

Explanation: Just 2 kg constriction force is sufficient to obstruct Jugular vein.